Screening for which of the following disease is suggested in pre placement medical examination before employment in dye industry:
1. Bladder cancer
2. Anaemia
3. Tuberculosis
4. Hypertension

Correct answer: 1. Bladder cancer

Explanation: Prior to placement in dye industry, medical examination should be done to screen for asthma, skin, bladder and kidney diseases and precancerous lesions. Ref: Park 21st edition page: 753.